Nitric acid test is used for ?
1. Lathyrism
2. Argemone oil
3. Aflatoxin
4. BOAA

Correct answer: 2. Argemone oil

Explanation: Ans. is 'b' i.e., Argemone oil